Which of the following type of pelvis is associated with a lack of single pelvic ala?
1. Robert's pelvis
2. Naegele's pelvis
3. Rachitic pelvis
4. Osteomalacic pelvis

Correct answer: 2. Naegele's pelvis

Explanation: Naegele's pelvis: In this type of pelvis one of the ala of the sacrum fails to develop and the pelvis is tilted to one side resulting in an asymmetrical pelvis. Gynaecoid pelvis: Its a typical female pelvis with a well rounded or oval pelvic brim. The outlet is adequate with a pubic angle of 90 degree or more. Ischial spines are not prominent. 75% of women has gynecoid pelvis. Robert's pelvis: In this type both ala of the sacrum are missing resulting in marked reduction in the transverse diameter of the inlet, cavity and outlet. Rachitic pelvis: This pelvis cause brim contraction by the forward rotation of the sacrum. Tri radiate pelvis: It is seen in osteomalacia. This type of pelvis causes beaking of the pelvic inlet, collapse of the lateral walls and funnelling of the lower pelvis. Ref: A Comprehensive Textbook of Midwifery By Jacob, 2008, Page 49 ; Textbook of Obstetrics By D.C.Dutta, 4th Edition, Page 369